Inverted "3" sign seen in
1. Ampullary Ca
2. Insulinoma
3. Ca. head pancreas
4. Ca. stomach

Correct answer: 3. Ca. head pancreas